Commonest type of anal canal carcinoma is?
1. Squamous cell carcinoma
2. Adenocarcinoma
3. Adenoacanthoma
4. Papillary type

Correct answer: 1. Squamous cell carcinoma

Explanation: Mainly three types of malignant neoplasm are seen in anal canal Squamous cell carcinoma (most common) Basal cell carcinoma (2nd most common) Melanoma Also remember: Most common type of rectal and colon cancer Adenocarcinoma Ref: S. Das textbook of surgery 3/e, Page 1078.